Gonococcus can infect all except
1. Cervix
2. Vagina
3. Bartholin gland
4. Fallopian tube

Correct answer: 2. Vagina

Explanation: Gonococci is gram negative cocco bacillus that invades columnar and transitional epithelial cells, becoming intracellular. Vaginal epithelium, which is squamous cell is not involved.